An ultrasound examination shows dilated intrahepatic biliary channels with a small gall bladder. The most likely possibility is
1. Gall bladder stone
2. Pancreatic calculus
3. Common bile duct stone
4. Carcinoma of the head of the pancreas

Correct answer: 3. Common bile duct stone

Explanation: In obstruction of the CBD due to a stone,distension of gallbladder seldom occurs.The organ is usually shrivelled.In obstruction from other causes ,distension of gallbladder is common by comparison. Reference:Bailey & Love's short practise of surgery,25th edition,page no:1125